In HIV infected individual, Gram stain of lung aspirate shows yeast like morphology. All of the following are the most likely diagnosis except -
1. Candida tropicalis
2. Cryptococcus neoformans
3. Penicillium marneffei
4. Aspergillus fumigatus

Correct answer: 4. Aspergillus fumigatus

Explanation: Option a: Correct- Candida tropicalis causes infection in immunocompromised patients and has a gram-positive budding yeast-like morphology
Option b: Correct- Cryptococcus neoformans- causes infection in immunocompromised patients and has a grampositive budding yeast morphology
Option c: Correct- Pencillium marneffi - causes infection in immunocompromised patients and is a Dimorphic fungus with yeast morphology in body tissues/at 37°C
Option d: Incorrect- Aspergillus fumigatus- Even though can cause infection in immunocompromised patients, it is a filamentous fungi showing hyphae with dichotomous branching typically at 45°C.